Epilation is not indicated in:
1. Ulcerative blepharitis
2. Phthiriasis
3. Trichiasis
4. Madarosis

Correct answer: 4. Madarosis

Explanation: Ans. Madarosis